Dissoscited sensory loss is seen in
1. Synringomyelia
2. Viatmain B12 deficiency
3. Transverse myelitis
4. Pellagra

Correct answer: 1. Synringomyelia

Explanation: Refer Robbins page no 1258 Syringomyelia is a generic term referring to a disorder in which a cyst or cavity forms within the spinal cord. This cyst, called a syrinx, can expand and elongate over time, destroying the spinal cord. The damage may result in loss of feeling, paralysis, weakness, and stiffness in the back, shoulders, and extremities.